Following is not a feature of delirium?
1. Memory loss
2. Illusion
3. Intact attention
4. Disturbed sleep

Correct answer: 3. Intact attention

Explanation: Ans. is 'c' i.e., Intact attention Clinical features of delirium1. Altered consciousness (clouding of consciousness to coma)2. Cognitive impairment:- Impaired attention, poor concentration, disorientation or confusion, altered sensorium, and memory disturbances (Impairment of immediate and recent memory).3. Perceptual anomalies :- Illusion, Hallucinations.4. Emotional disturbances :- fear & anxiety.5. Language disturbances and psychomotor disturbances (hypoactivity or hyperactivity).6. Disturbance of sleep-wake cycle.7. Autonomic disturbances :- Tachycardia, sweating, tremors.8. Neurological disturbances Tremor, seizure, choreiform movements.9. Memory:- There is disturbance of immediate and recent memory which are responsible for registration, retention and recall of new memories. On recovery there is amnesia for the period of delirium, but remote memory is intact. That means there is no memory loss and patient remembers everything before the episode of delirium, there is amnesia only for the period of delirium.